Calculate the Ponderal index of a baby of weight 2000gm and length 50 cm at Birth
1. 1.6
2. 2.2
3. 2.6
4. 2

Correct answer: 1. 1.6

Explanation: Ponderal Index (PI) Weight (in grams) x 100 PI = ------------------------------------------------ (Length in cm) 3 So, 2000x 100/(50)3=2,00,000/1,25,000=1.6. Ref : Park 23rd edition Pgno : 399